Which of the following has highest glycemic index:
1. Glucose
2. Sucrose
3. Fructose
4. Sorbitol

Correct answer: 1. Glucose

Explanation: Glycemic index (GI)- Definition -Increase in blood glucose after the test dose of a carbohydrate compared with that of an equivalent amount of glucose. The highest glycemic index is for glucose & galactose High GI maltose, trehalose isomaltose lactose Fructose and sugar alcohols have less glycemic index HFCS (High Fructose Corn Syrup) - 58 % glucose, Sucrose (50 % glucose) gets split into glucose Low GI (<=55 ) Fructose, beans, grains Medium GI (56-69) Table sugar or sucrose High GI (>=70) High fructose corn syrup, glucose, sweets, rice, maltose GI of Glucose = 100 % or 1 GI of Fructose = 25 % GI of Sucrose = 65 %